Features seen in a patient with chronic vomiting are all EXCEPT:
1. Hyponatremia
2. Hypochloremia
3. Metabolic acidosis
4. Hypokalemia

Correct answer: 3. Metabolic acidosis

Explanation: Ans. C i.e. Metabolic acidosis